A 30-year-old male with NIDDM has a blood pressure of 150/90. Ills urine examination reveals persistent albuminuria in traces. The most appropriated line of treatment would be -
1. Non treatment
2. Regular examination of urine and monitoring of blood sugar
3. Administering lisinopril and restriction of sodium
4. Restriction of sodium only

Correct answer: 3. Administering lisinopril and restriction of sodium